Which of the following is a long-acting dopamine agonist
1. Bromocriptine
2. Lisuride
3. Cabergoline
4. Apomorphine

Correct answer: 3. Cabergoline

Explanation: ERGOT-DERIVED DOPAMINE AGONISTS Examples of this type of dopamine agonist are bromocriptine, pergolide, lisuride, and the long acting ergoline, cabergoline. An alternative mechanism is to mimic what the dopamine chemical messenger does in the brain. Drugs that act as dopamine agonists -- such as apomorphine, ropinirole and pramipexole -- do this by fooling brain cells into thinking they are dopamine. Ref: KD Tripathi 8th ed.